The cutoff point of serum estrogen level for the diagnosis of ovarian failure:
1. 10 pg/ml
2. 20 pg/ml
3. 30 pg/ml
4. 40 pg/ml

Correct answer: 2. 20 pg/ml

Explanation: Diagnosis of menopause is from classical symptom of hot flush (50%) confirmed by elevated FSH levels to more than 100 mlU/ml and serum estradiol < 20 pg/ml.